Most common type of lung cancer:
1. Small cell lung cancer
2. Large cell lung cancer
3. Squamous cell cancer
4. Adenocarcinoma

Correct answer: 4. Adenocarcinoma

Explanation: Ans. (d) Adenocarcinoma Ref: Robbin's 9th ed. / 714 - 15 According to Robbins 9thed, the frequency of major lung cancer and their proportion are: * Adenocarcinoma (38%) * Squamous cell carcinoma (20%) * Small cell carcinoma (14%) * Large cell carcinoma (3%) * Other (25%) Must Know * MC CA overall: LUNG CA * MC CA causing death: LUNG CA * MC risk factor for lung CA: Smoking * Peak age for development for lung CA: 50 - 60s * MC lung cancer in females: Adenocarcinoma * Most aggressive type of lung C A: Small cell lung CA * Lung CA MC associated with paraeoplastic syndrome: Small cell lung CA * Smoking is mc a/w SQ. CELL CA . Smoking is strongly a/w small cell ca * Centrally located lung CA: Squamous cell CA and Small cell lung CA * Peripherally located lung CA: Adenocarcinoma and Large cell CA